Constriction ring in uterus is seen in :
1. Obstructed labour
2. Normal labour
3. Both
4. None

Correct answer: 4. None